Common causes of infertility are :
1. Chlamydia
2. Gonorrohea
3. Mycoplasma
4. All

Correct answer: 4. All

Explanation: Ans. is a, b and c i.e. Chlamydia; Gonorrhea; and Mycoplasma PID resulting in salpingitis is an important cause of infertility. Infertility from PID can occur due to following organisms : Chlamydia Gonorrhea Tuberculosis Mycoplasma (Specifically ureoplasma) Certain Infections cause Intrauterine synechiae or ashermann syndrome thus leading to infertility like : Schistosoma Mycobacter